A prodrug is
1. The proto type member of a class of drugs
2. The oldest member of a class of drugs
3. An inactive drug that is transformed in the body to an active metabolite
4. A drug that is stored in body tissues and is then gradually released in the direction

Correct answer: 3. An inactive drug that is transformed in the body to an active metabolite